Which of the following is not a pro-drug?
1. Becampicillin
2. Levodopa
3. Penicillin
4. Enalapril

Correct answer: 3. Penicillin

Explanation: A prodrug is a pharmacological substance that is administered in an inactive or partially active form, and is subsequently converted to an active pharmacological agent (drug) through normal metabolic processes (bioactivation). Levodopa changes to dopamine Becampicillin to ampicilline and Enalapril to enalaprilat